The parasympathetic secretomotor fibres to parotid traverse through the following except -
1. Otic ganglion
2. Tympanic plexus
3. Greater petrosal nerve
4. Aurico temporal nerve

Correct answer: 3. Greater petrosal nerve

Explanation: Secretomotor pathway to the parotid gland :-